Steroids are given in rheumatic fever when there is-
1. Carditis
2. Chorea
3. Subcutaneous nodules
4. All

Correct answer: 1. Carditis

Explanation: Ans. is 'a' i.e., Carditis Suppressive therapy of RF o If patient has carditis with CHF --> Steroids If patients has carditis without CHF --> Steroids or aspirin (steroids are preferred) If patient does not have carditis --> Aspirin The total duration of suppressive therapy is 12 weeks.